Tonsillar carcinoma is associated with infection of:
1. HIV
2. HPV
3. HSV
4. None of the above

Correct answer: 2. HPV

Explanation: HPV is an epitheliotropic virus that has been detected to varying degrees within samples of oral cavity squamous cell carcinoma. Infection alone is not considered sufficient for malignant conversion; however, results of multiple studies suggest a role of HPV in a subset of head and neck squamous cell carcinoma. Approximately 40% of tonsillar carcinomas demonstrate evidence of HPV types 16 and 18. Ref: Schwartz's principle of surgery 9th edition, chapter 18.